Which one of the following factors released by heating a suspension of sheep erythrocytes is required for the growth of Haemophilus Influenzae in chocolate agar?
1. Hemin
2. Nicotinamide adenine dinucleotide (NAD)
3. Hemoglobin
4. Hemolysin

Correct answer: 2. Nicotinamide adenine dinucleotide (NAD)

Explanation: Ans. B. NAD.a. Members of Hemophilus require for one or more of the accessory factors: X & V in bloodb. Factor X is heme whereas factor V is NAD/NADP.c. The V factor (NAD) is trapped in the RBC's in blood agar. Hence, on blood agar, Hemophilus influenzae shows poor growth.d. By heating blood agar, V factor is released into the medium.